Goblet cells are seen in -
1. Cornea
2. Conjunctiva
3. Retina
4. Vitreous

Correct answer: 2. Conjunctiva

Explanation: Ans. is 'b' i.e. Conjunctiva o Epithelial lining of Conjunctiva is stratified non-keratinized epithelium which varies from region to region. The important cells of conjunctiva are : -i) Goblet cells: - Occur throughout the conjunctiva, especially the plica semilunaris singly or in association with epithelial crypts. Goblets cells are most dense nasally and least dens in upper temporal fornix. Goblet cells are absent in palpebral mucocutaneous junction and the limbus.ii) Melanocytes: - Are found in the conjunctiva at limbus, fornix, camucle and at the site of entery of anterior ciliary vessels.iii) Langerhans cells: - In all parts of conjunctiva.